Which is the smallest part of optic nerve
1. Intraocular
2. Intraorbital
3. Intracanalicular
4. Intracranial

Correct answer: 1. Intraocular

Explanation: Intraocular - 1 mm.
Intraorbital - 30 mm.
Intracanalicular - 6-9 mm.
Intracranial - 10 mm.